The least amount of fetal Rh+ve blood needed to cause isoimmunization in a Rh negative mother is -
1. 0.1 ml
2. 0.01 ml
3. 0.001 ml
4. 10 ml

Correct answer: 1. 0.1 ml